A patient presents to emergency with a pinpoint pupil, salivation, lacrimation, tremors and red tears. Plasma cholinesterase level was 30% of normal. Most probable Diagnosis is:
1. Organophospahte poisoning
2. Dhatura poisoning
3. Opioid poisoning
4. Pontine hemorrhage

Correct answer: 1. Organophospahte poisoning

Explanation: The given features are those of anticholinesterase.
Acetylcholinesterase causes inactivation of acetylcholine after its action at neuromuscular junctions. When this is blocked, there is the higher action of acetylcholine, which shows as increased parasympathetic activity.
Anticholinesterase activity is seen in Organophosphate poisoning.